A 25-year-old primigravida witti 20 weeks of pregnancy has a first episode of asymptomatic bacteriuria. The risk of having pyelonephritis is;
1. No risk with first episode
2. 5%
3. 15%
4. 25%

Correct answer: 4. 25%

Explanation: If not treated,asymptomatic bacteriuria 25% women will develop pyeloneohritis in pregnancy mostly in 3rd TM. Refer page no 274 of Text book of obsteics,sheila balakrishnan 2 nd edition.